Which of the following are also called as "Ghost cell tumors"?
1. Medulloblastoma
2. Acoustic neuroma
3. Primary CNS lymphoma
4. Glioblastoma

Correct answer: 3. Primary CNS lymphoma

Explanation: Primary CNS lymphomas are also called as "Ghost cell tumors" as they show quick resolution after initiation of steroids.